True about point source epidemic are all except ?
1. The curve has rapid rise and slow decline
2. All cases occur in one incubation period
3. One single peak only
4. No secondary curves

Correct answer: 1. The curve has rapid rise and slow decline

Explanation: Ans. is 'a' i.e., The curve has a rapid rise and slow decline Epidemic curve of point source epidemic has - Rapid rise Rapid fall No secondary wave